Amyloidosis of kidney may be seen in the following except-
1. Enteric fever
2. Ulcerative colitis
3. Suppurative lung disease
4. Hansen's disease

Correct answer: 1. Enteric fever

Explanation: Ans. is 'a' i.e., Enteric fever